Rules followed amongst medical professionals which are mutual -
1. Medical etiquettes
2. Medical ethics
3. Privileged communication
4. Vicarious responsibility

Correct answer: 1. Medical etiquettes

Explanation: Ans. is 'a' i.e., Medical etiquettes Medical etiquettes* Medical etiquettes: It refers to existing customs of brotherhood among members of medical profession, i.e. courtesy followed between members of medical profession, e.g. it is a custom not to charge another doctor or his close relatives.Medical ethics* The earliest code of medical ethics was Hippocratic oath. It is modified by World Medical Association, and was named as 'Declaration of Geneva'; it is followed by MCI as code of medical ethics.Privileged communication* It is defined as a communication made by doctor to a proper authority that has corresponding legal, social, and moral duties to protect the public. Privileged communication is made in certain circumstances where the doctor is justified in disclosing information about his patient. Such communication is regarded as privileged and is an exception to the general rule of professional secrecy between doctor and patient.Vicarious responsibility* Vicarious responsibility means that a person becomes liable to pay damages for an act of negligence committed by his servants or agents in the course of their employment or agency.